The following angiotensin converting enzyme inhibi tor can reduce cardiac contractility
1. Captopril
2. Lisinopril
3. Enalapril
4. Perindopril

Correct answer: 2. Lisinopril

Explanation: Lisinopril:- It is the lysine derivative of enalaprilat; does not require hydrolysis to become active ACE inhibitor. Pharmacokinetics:- Its oral absorption is slow (making first dose hypotension less likely) and incomplete, but unaffected by food. The duration of action is considerably longer, permitting single daily dose and ensuring uniform hypotensive action round the clock. A reduction in venous return, cardiac contractility and cardiac output has been noted after few weeks of lisinopril use. Ref:- kd tripathi; pg num:-503